Which of the following peptides are not produced by the renal system?
1. Renin
2. Angiotensin I
3. Erythropoietin
4. 1,25DHCC

Correct answer: 2. Angiotensin I

Explanation: The hormones produced in the kidneys are 1,25 Dihyrocholecalciferol, Renin and Erythropoetin. Angiotensin is an oligopeptide and is a hormone and a powerful dipsogen. It is derived from the precursor molecule angiotensinogen, a serum globulin produced in the liver. It plays an important role in the renin-angiotensin system. Ref: The Local Cardiac Renin-Angiotensin Aldosterone System By Edward D. Frohlich, Richard N. ; Ganong's Review of Medical Physiology, 22nd Edition, Pages 455, 459